Drug of choice for the treatment of acute gout in patients in whom NSAIDs are contraindicated is-
1. Colchicine
2. Allopurinol
3. Xyloric acid
4. Paracetamol

Correct answer: 1. Colchicine

Explanation: Ans. is 'a' i.e., Colchicine Treatment of Gout1) Acute goutNSAIDs are the drugs of choiceColchicine is the fastest acting drug. However it is reserved for the patients in which NSAIDs are contraindicated, because colchicine can cause gastrointestinal disturbances.If neither NSAIDs nor colchicin are tolerated, oral prednisolone is used.AUopurinol and uricosuric drugs (sulfinpyrazone, probenacid) are not effective in acute gout because they will not relieve symptoms as they don 7 have anti-inflammatory property.2) Chronic goutAllopurinal is the drug of choice.Other drugs are sulfinpyrazone and probenacid.